Which of the following drugs is best for reducing pro teinuria in a diabetic patient?
1. Metoprolol
2. Perindopril
3. chlohiazide
4. Clonidine

Correct answer: 2. Perindopril

Explanation: ACE inhibitors like lisinopril, perindopril, ramipril and ARBs like losartan, telmisartan could decrease the incidence of diabetic nephropathy by decreasing protein levels in the urine especially albumin They r DOC for diabetes with HTN. Ref: KD Tripathi 8th ed.